Post micturation dribbling is due to-
1. Detrusor overactivity
2. Dribbling decreases in case of urethral stricture
3. Collection of Urine in U shaped curve of bulb of penis
4. Neurogenic bladder

Correct answer: 3. Collection of Urine in U shaped curve of bulb of penis